Sporicidal disinfectant is following except :
1. Glutaraldehyde
2. Formaldehyde
3. Ethylene oxide
4. Benzalkonium chloride

Correct answer: 4. Benzalkonium chloride

Explanation: Sporicidal agents are : 
E – Ethylene oxide 
F – Formaldehyde 
G – Glutaraldehyde 
H – Halogens (moderate action on spores)